Risk of damage to the fetus by maternal rubella is maximum if a mother gets infected in
1. 6 - 12 weeks of pregnancy
2. 20 - 24 weeks of pregnancy
3. 24 - 28 weeks of pregnancy
4. 32 - 36 weeks of pregnancy

Correct answer: 1. 6 - 12 weeks of pregnancy

Explanation: The first trimester of pregnancy is the most disastrous time - results in abnormalities in the infant in 85% of cases.16% in the second trimester.Birth defects uncommon after 20 weeks of gestation.Park 23e pg: 145